Visual axis of the eye meets the retina at a point which:
1. Coincides with the fovea centralis
2. Is nasal to fovea centralis
3. Is nasal to optic disc
4. Is temporal to fovea centralis

Correct answer: 1. Coincides with the fovea centralis

Explanation: Ans. Coincides with the fovea centralis